Hepatitis B vaccination is given to a patient. His serum will reveal:
1. HBsAg
2. Anti - HBsAg
3. IgM Anti - HBcAg and HBsAg
4. IgM and IgG Anti - HBcAg

Correct answer: 2. Anti - HBsAg

Explanation: Ans. is 'b' i.e., Anti HBsAg (Ref: Ananthanarayan, 9th/e, p. 548 and 8th/e, p. 543)* Anti HBsAg is protective antibody.* It is the only serological marker, present after immunization.